Painless sudden visual loss is seen in all except:
1. CRAO
2. Retinal detachment
3. Vitreous haemorrhage
4. Angle closure glaucoma

Correct answer: 4. Angle closure glaucoma

Explanation: Answer ie 'd' ie Angle closure glaucoma (Ref. Parson, 19/e, p307, p148)Angle closure glaucoma is well known to be painful condition. Acute cases of angle closure glaucoma cause severe headache with red eye.Causes of painless sudden loss of visionUnilateralBilateral* Retinal detachment* Bilateral occipital infarction* Retinal vascular occlusion* Atypical optic neuritis* Vitreous Haemorrhage* Diabetic retinopathy* Retinal Haemorrhage* Grade IV hypertensive retinopathy with macular star* Exudative age related macular degeneration* Toxic optic neuropathy* Subluxation or dislocation of lens* Posterior neuritis